A patient on ATT develops tinnitus and hearing loss due to?
1. Isoniazis
2. Pyrazinamide
3. Streptomycin
4. Rifampicin

Correct answer: 3. Streptomycin

Explanation: Ans. (c) StreptomycinRef: Dhingra 4thed p. 39